Efferent pathway for milk ej ection reflex -
1. Prolactin
2. Oxytocin
3. ACTH
4. Growth hormone

Correct answer: 2. Oxytocin

Explanation: Ans. is 'b' i.e., Oxytocin Milk ejection reflexo Milk ejection is normally initiated by a neuroendocrine reflex.o The receptors involved are the touch receptors, which are plentiful in the breast-especially around the nipple,o Impulses generated in these receptors are relayed to the supraoptic and paraventricular nuclei,o Discharge of the neurons causes secretion of oxytocin from the posterior pituitary.o Oxytocin causes contraction of the myoepithelial cells, smooth muscle - like cells that line the ducts of the breast,o This squeezes the milk out of the alveoli of the lactating breast into the large ducts (sinuses) and thence out of the nipple ready to flow into the mouth of the waiting infant,o In lactating women, genital stimulation and emotional stimuli also produce oxytocin secretion, sometimes causing milk to spurt from the breasts.